Powerful vasoconstrictor is-
1. Amphetamines
2. Epinephrine
3. Isopreenaline
4. Dobutamine

Correct answer: 2. Epinephrine

Explanation: Ans. is 'b' i.e., Epinephrineo Among the given options, only epinephrine has significant action on a-receptor, thus causes vasoconstriction.Sympathomimetic drugsNon selectiveo Adrenaline - a1 + a2 + b1 + b2o Noradrenaline - a1 + a2 + b1 + Slight b1 no. b2o Isoprenaline -b1+ b2 + b3 but no a actiono Mephentramine - a and bSelectivea1 agonists -Phenylephrine, methoxamine, naphazoline, oxymetazoline, xylometazoline.a2 agonists -Clonidine, methyldopa, brimonidine, apraclonidine, guanfacine, guanabenzb1 agonists -Prenaltemol, dobutamineb2 agonsits -Salbutamol, terbutaline, salmeterol, orciprenaline, ritodrine, isotharine, bitolterol, pirbuterol, tenoterol, formoterol.